The standard definition of public health was given by
1. Winslow
2. Virchow
3. Shattuck
4. Chadwick

Correct answer: 1. Winslow

Explanation: Chadwick worked on great cholera epidemic of 1932 and published " The sanitary conditions of the labouring population in Great Britan"Jon Snow studied the epidemic of choleraShattuck published a book on health conditions in Massachusetts.Winslow defined public health as" the science and art of preventing disease, prolonging life and promoting health and efficiency through organised community effort.Park 23e pg:9